Risk of transmission from single percutaneous exposure to blood for HIV is:-
1. 6-30%
2. 0.1 - 0.36%
3. 2.7-10%
4. 0.4-5%

Correct answer: 2. 0.1 - 0.36%

Explanation: Risk of transmission from single percutaneous exposure to blood for: * HBV: 6-30% * HIV: 0.1-0.36% * HCV: 2.7-10%